All of following are used for routine medical treatment of acute pancreatitis except ?
1. Ringers Lactate
2. Normal Saline
3. IV opiates
4. Gabexate mesilate

Correct answer: 4. Gabexate mesilate

Explanation: 85-90% of cases of acute pancreatitis are self-limited and subside spontaneously, usually within 3-7 days after initiation of treatment, and do not exhibit organ failure or local complications. The most important treatment intervention for acute pancreatitis is safe, aggressive intravenous fluid resuscitation (Ringer Lactate or Normal Saline) Intravenous narcotic analgesics (Opiates) are given to control abdominal pain Supplemental oxygen is given nasal cannula. Gabexate mesilate is a synthetic serine protease inhibitor used to prevent or treat acute pancreatitis in adult patients. However this drug is not used for routine medical treatment of acute pancreatitis